All of the following structures passes through lesser sciatic foramen, EXCEPT:
1. Inferior gluteal vessels
2. Internal pudendal vessels
3. Pudendal nerve
4. Nerve to obturator internus

Correct answer: 1. Inferior gluteal vessels

Explanation: Structures passing through the lesser sciatic foramen are tendon of obturator internus, internal pudendal vessels and pudendal nerve. Structures passing through greater sciatic foramen are:Piriformis muscleSuperior and inferior gluteal vesselInternal pudendal vesselPudendal nerveSciatic nervePosterior femoral cutaneous nerveNerve to obturator internusQuadratus femorisStructures passing through both greater and lesser sciatic foramen:Pudendal nerveInternal pudendal vesselsNerve to obturator internusRef: BRS Gross Anatomy By Kyung Won Chung, page 97